Sterility is caused by :
1. Vinca alkaloids
2. Alkylating agents
3. Antimetabolites
4. Actinomycin D

Correct answer: 2. Alkylating agents